Squamous cell carcinoma marker is -
1. Vimentin
2. Cytokeratin
3. Desmin
4. Myogenin

Correct answer: 2. Cytokeratin

Explanation: Ans. is 'b' i.e., Cytokeratin {Ref: Sternberg Diggnostic surgical pathology 4th/e Volume 1, p. 148-150]o Cytokeratin is a intermediate filament found is carcinoma.lmiminohistochemistryo Immunohistochemistry is a method of analyzing and identifying cell types based on binding of antibodies to specific components of the cell.o Antibody, which is specific for an antigen of a particular tissue, is labled with a probe (coloured marker) and is run on the tissue specimen obtained from a biopsy.o If the tissue has that particular antigen, then antibody will get attached to the tissue and the labled antibody can be seen under a microscope.o Intermediate filaments of eytoskeleton are the major antigens used in immunohistochemistry.o There are five major types of intermediate filaments -CytokeratinCarcinoma, mesothelioma. Non-seminoma GCTVimentinSarcoma (Tumor of mesenchymal), melanoma, seminomas, lymphomaNeurofilamentNeural tumorsGlial fibrillary acid proteins (GFAP)Non-neural brain tissue (astroglial origin - Astrocytoma, ependymomas, medul loblastoma, oligodendroglioma)DcsminLeiomyoma (smooth muscle) & Rhabdomyoma (skeletal ms).